Locord's system is:
1. Podography
2. Dactylography
3. Poroscopy
4. Cheiloscopy

Correct answer: 3. Poroscopy

Explanation: PoroscopyQ Microscopic study of poresQ formed by mouths of ducts of sub epidermal sweat glandsQ. The arrangement of pores are unique to each individual. Described by LocardQ. Dactylography - Study of finger prints Cheiloscopy - Study of lip prints Podography - Study of foot prints